Which of the following statement is not true about Didactic method?
1. Knowledge is imposed
2. No feedback
3. Active learning
4. Does not influence human behavior

Correct answer: 3. Active learning

Explanation: One-way communication (Didactic Method) The flow of communication is "one-way" from the communicator to the audience. The familiar example is the lecture method in classrooms. The drawbacks of the didactic method are: oKnowledge is imposed oLearning is authoritative o Little audience participation o No feedback o Does not influence human behaviour